Bite test is used for detection of
1. Cracked tooth
2. Pulp vitality
3. Bite force measurement
4. occlusal discrepancy

Correct answer: 1. Cracked tooth